Investigation of choice for gall stone –
1. X–ray
2. USG
3. Cholecystography
4. CAT Scan

Correct answer: 2. USG